Cochlear aqueduct -
1. Connects internal ear with subarachnoid space
2. Connects cochlea with vestibule
3. Contains endolymph
4. Same as Scala media

Correct answer: 1. Connects internal ear with subarachnoid space

Explanation: Cochlear aqueduct connects scala tympani with the subarachnoid space. This is the reason why otitis media can lead to meningitis